Pelvic fascia is differentiated from endopelvic fascia by the following
1. Forms connective tissue coverings for vagina
2. Their condensation bands connect pelvic organs to pelvic bones
3. Covers surfaces above and below levator ani
4. Conveys blood vessels to the pelvic organs

Correct answer: 3. Covers surfaces above and below levator ani

Explanation: Pelvic fascia consists of dense connective tissue which covers surfaces above and below levator ani and obturator internus muscles.